A man had Egg omelet 1-4 hours back and developed diarrhea, vomiting and abdominal cramps. Most likely cause of poisoning.
1. Staphylocoocus
2. Salmonella
3. Bacillus cereus
4. Clostridium

Correct answer: 1. Staphylocoocus